Closure of the fetal circulatory adjustments occurs functionally in the following sequence:?
1. Ductus venosus> Foramen ovale > Ductus arteriosus
2. Ductus arteriosus > Formen ovale > Ductus venosus
3. Ductus venosus > Ductus arteriosus > Foramen ovale
4. Ductus aretriosus > Ductus venosus > Foramen ovale

Correct answer: 1. Ductus venosus> Foramen ovale > Ductus arteriosus

Explanation: Functional closure of the fetal circulatory adjustements occurs in the following sequence: Ductus venosus > Foramen ovale > Ductus arteriosus. Fetal circulatory adjustment Functional closure Anatomical closure Ductus Venosus After removal of the placenta 7 days Foramen ovale At birth-after breathing is initiated Months to years Ductus arteriosus 10-15 hours 10-21 days Ref: Nelson textbook of pediatrics 21st edition Pgno: 2162